All are true about intermuscular spaces except
1. The superior boundary of quadrangular intermuscular space is formed by the inferior margin of the subscapularis muscle
2. The medial boundary of quadrangular internmuscular space is formed by the lateral margin of the long head of the triceps brachii muscle
3. The lateral boundary of upper triangular  intermuscular space is formed by the medial margin of the long head of the triceps brachii muscle
4. The lateral boundary of lower triangular  intermuscular space is formed by the lateral margin of the long head of the triceps brachii muscle

Correct answer: 4. The lateral boundary of lower triangular  intermuscular space is formed by the lateral margin of the long head of the triceps brachii muscle

Explanation: The medial boundry of lower triangular intermuscular space is formed by the lateral margin of the long head of the triceps brachii muscle and lateral boundry by the shaft of Humerus.